Narrowest part of infantile Larynx is
1. Supraglottic
2. Subglottic
3. Glottic
4. None of the above

Correct answer: 2. Subglottic

Explanation: Infants larynx is small and conical. The diameter of the cricoid cartilage is smaller than the size of glottis marking subglottis the narrowest part. Ref: PL Dhingra Textbook of Ear, Nose and Throat, Edition 7th, page - 323